Pigment stone is composed of?
1. Ca bilirubinate
2. Ca phosphate
3. Ca carbonate
4. Ca gluconate

Correct answer: 1. Ca bilirubinate

Explanation: Ans. (a) Ca bilirubinate(Ref: Robbins 9th/pg 877)Two main types of gallstones:Cholesterol stones (most common type in West) containing crystalline cholesterol monohydrate.Pigment stones composed mainly of calcium bilirubinate; contain <20% cholesterol and are classified into "black" & "brown" types, the latter forming secondary to chronic biliary infection.